Therapeutic uses of progesterone are all except
1. Postponement of menstruation
2. Post - coital pill
3. Breast tumor
4. Abnormal uterine bleeding

Correct answer: 3. Breast tumor

Explanation: Progesterone is contraindicated in breast tumor.